All of the following statements about vincristine are true except
1. It acts by inhibiting mitosis
2. It prominent adverse effects is peripheral neuropathy
3. It does not suppression bone marrow
4. It is a drug of choice for solid tumors

Correct answer: 4. It is a drug of choice for solid tumors

Explanation: Vincristine is a vinca allkaloid. It acts in M-phase of cell cycle by inhibiting the formation of spindle. It is a marrow sparing drug and causes peripheral neuropathy as a prominent adverse effect. It is used for the treatment of hematological malignancies like Hodgkin's lymphoma and leukemias.It is ineffective against solid tumors. Ref-KDT 6/e p824,825